Quarter staggered arrangement is seen in:
1. Immunoglobulin
2. Hemoglobin
3. Collagen
4. Keratin

Correct answer: 3. Collagen

Explanation: Ans. C. CollagenTriple Helix in CollagenQuarter Staggered arrangement in CollagenCovalent cross links in collagenDesmosine cross links in elastin